Candidal hyphae can be stained using
1. Van Gieson's stain
2. Periodic acid Schiff stain
3. Masson Trichrome stain
4. Toluidine blue stain

Correct answer: 2. Periodic acid Schiff stain